A 4-month-old infant presents with failure to thrive, progressive muscular weakness, and poor head control. The mother states that she feeds the baby soy-based formula sweetened with honey. Organism most likely to be responsible is?
1. Clostridium botulinum
2. Clostridium difficile
3. Clostridium perfringens
4. Clostridium tetani

Correct answer: 1. Clostridium botulinum

Explanation: This is a history of Floppy baby syndrome (infant botulism) due to C. botulinum. Infant botulism/Floppy child syndrome By ingestion of contaminated food (usually honey) with spores of C. botulinum in children <= 1 year of age. Spores germinate in intestine releasing the toxin. Manifestations include: Inability to suck and swallow. Weakened voice. Ptosis. Floppy neck. The botulinum toxin is the most potent toxin causing disease in humans. Blocks the release of acetylcholine from motor nerve endings at the neuromuscular junctions leading to descending flaccid paralysis. Other species which can cause botulism- C. baratii, C. butyricum, C. argentinense.